Drugs that would anatogonize the interaction of catecholamlnes with adrengic receptors include?
1. Methyldopa
2. Clonidine
3. Phenylephrine
4. Yohimbine

Correct answer: 4. Yohimbine

Explanation: The antihypertensive agent prazosin blocks a receptors that mediate vasoconstriction. Clonidine and methyldopa are antihypertensive agents that work by stimulating a receptors in the brainstem, thereby reducing sympathetic Out flow. Phenylephrine, an a agonist with pressor effects, is frequently employed in over the counter nasal econgestants. By antagonizing presynaptic a receptors, yohimbine increases parasympathetic activity that may augment penile blood flow and may be useful in the treatment of erectile impotence. Isoproterenol stinulates b1 and b2 receptors and can increase chronotropy in the settting of heart block.